Glycosylated haemoglobin assay is helpful in the monitoring of patients with:
1. Addison's disease
2. Diabetes Mellitus
3. Cushing's disease
4. Graves' disease

Correct answer: 2. Diabetes Mellitus